The most commonly missing teeth are:
1. 3rd molars
2. Mandibular second premolar
3. Maxillary lateral incisor
4. Mandibular central incisor

Correct answer: 1. 3rd molars

Explanation: The most commonly missing teeth are third molars, followed by mandibular second premolars and maxillary lateral and mandibular central incisors.